Winter bottoms sign in sleeping sickness refers to?
1. Unilateral conjunctivitis
2. Posterior cervical lymphadenopathy
3. Narcolepsy
4. Transient erythema

Correct answer: 2. Posterior cervical lymphadenopathy

Explanation: Ans. is 'b' i.e., Posterior cervical lymphadenopathy Sleeping sickness -Fever - Loss of nocturnal sleep - Headache - Feeling of oppression - Pruritis and maculopapular rashes - Weight loss - Arthralgia - Hepatosplenonegaly Lymphadenopathy, particularly of the posterior triangle of the neck